A 34-year-old woman is admitted to the emergency department with a painful eye. Physical examination reveals a lump in the lower eyelid that consists of debris. A diagnosis of a chalazion is made. Which of the following structures is (are) most likely blocked by the chalazion?
1. Lacrimal ducts
2. Tarsal glands
3. Sclera
4. Pupil

Correct answer: 2. Tarsal glands

Explanation: (b) Source: GAS 881; GA 461 A chalazion is caused by an obstructed tarsal gland of the eyelid. Swellings of the lacrimal gland usually present on the upper lateral eyelid and are not indicative of a chalazion. A chalazion is not an infection within the eye, so this excludes sclera and pupil from being the correct answers. The nasolacrimal duct runs from the medially located lacrimal sacs to the inferior meatus of the nose and would be unaffected in the case of a chalazion.